Given below is the histopathology of liver biopsy of hemochromatosis. Which of the following stain is used?
1. Vonkossa
2. Alcianblue
3. Prussian blue
4. Crystal violet

Correct answer: 3. Prussian blue

Explanation: Ans. (c) Prussian blue(Ref: Complete review of pathology and Hematology 2nd ed; Praveen Kumar, Vandana Puri Annexure 4)This is a straight forward question on the stain used for Iron in tissue (Hemochromatosis) which is Prussian blue stain.